Larger DNA segments can be cloned in
1. Plasmids
2. Bacteriophage
3. Cosmids
4. Bacterial Artificial Chromosomes

Correct answer: 4. Bacterial Artificial Chromosomes

Explanation: Hybrid DNA molecules can be constructed in cloning vectors typically using bacterial plasmids, phages, or cosmids. A clone is a large population of identical molecules, bacteria, or cells that arise from a common ancestor. Molecular cloning allows for the production of a large number of identical DNA molecules, which can then be characterized or used for other purposes. Cloning capacities of vectors Plasmid 0.01-10 kb Lambda phage 10-20 kb Cosmids 35-50 kb Bacterial artificial chromosome 50-250 kb Yeast artificial chromosome 500-3000 kb